Levonorgestrel IUS used in treatment of AUB, has all benefits except
1. Provides contraceptive cover
2. Effective for associated dysmenorrhea
3. No break-through bleeding
4. Women become amenorrheic within one year after insertion

Correct answer: 3. No break-through bleeding

Explanation: Irregular menses and break through bleeding occurs for first 3 → 9 months after insertion.